Stain used for melanin -
1. Oilred
2. Gomori methamine silver stain
3. Masson fontana stain
4. PAS stain

Correct answer: 3. Masson fontana stain

Explanation: Ans. is 'c' i.e., Masson fontana [Ref: style="font-size: 1.04761904761905em; font-weight: bold; text-decoration: underline; font-style: italic; font-family: Times New Roman, Times, serif; margin: 0 0 8pt 4px; text-indent: 0">Melanin staino Melanin is normally found in the skin, eye and substantia nigra. If may also be found in melanoma.Type of melanin stain : -o Fontana massono Schmorl s methodo DOPA oxidaseo Formaldehyde induced fluorescenceo Most common type of melanin stainFontana masson stainIt relies upon the melanin granules to reduce ammoniacal silver nitrate,o Most specific type of melanin stainDOPA oxidase stain acts on the DOPA substrate to produce a brownish black deposit...